Which topical agent is antiproliferative, cytotoxic to melanocytes and a weak competitive inhibitor of tyrosinase?
1. Kojic acid
2. Hydroquinone
3. Retinoids
4. Azelaic acid

Correct answer: 4. Azelaic acid

Explanation: Azelaic acid - Tyrosinase inhibitor Has anti-inflammatory properties and antiproliferative effect on keratinocytes - used in acne Has cytotoxic action against Melanocytes - used in Hyperpigmentary disorders Tyrosinase inhibitors - used for hyperpigmented disorders like melasma Eg -1. Hydroquinone2. Azelaic acid 3. Kojic acid4. Arbutin